Drug used in RSV infection in children
1. Rituximab
2. Palivizumab
3. none
4. Omalizurnab

Correct answer: 2. Palivizumab

Explanation: Palivizumab is a chimeric mouse-human monoclonal IgG antibody against human respiratory syncitial virus infection.Combined ribavarin-palivizumab therapy is being evaluated for immunosuppressed children with HRSV pneumonia. Ref:Harrison's medicine-19th edition,page no:1206.